ATP generated per TCA cycle is
1. 6
2. 8
3. 10
4. 12

Correct answer: 3. 10

Explanation: ATP Generating Steps in TCA Cycle:- There are 3 NADH molecules generated during one cycle, each of them will give rise to 2 1/2 ATPs on oxidation by electron transport chain (ETC); so altogether they will give 3 x 2 1/2 = 7 1/2 (7.5) high energy phosphates. The FADH2 will generate 1 1/2 molecules of ATP. In addition, one molecule of GTP (equivalent to one molecule of ATP) is formed by substrate-level phosphorylation. Hence, per turn of the cycle, 10 high energy phosphates are producedRef: DM Vasudevan, 7th edition, page no: 250